Lateral Spinothalamic tract carries -
1. Proprioception
2. Kinestheisa
3. Two point discrimination
4. Pain and temperature

Correct answer: 4. Pain and temperature

Explanation: Ans. is 'd' i.e.. Pain and temperature Sensation carriedPosterior column (Dorsal column)o Proprioception (Position of body or limb, position of joint)o Fine touch (two point discrimination, topognosis, stereognosis)o Vibrationo KinesthesiaAnterolateral systemo Anterior spinothalamic tracto Lateral spinothalamic tract- Crude touch- Pain, Temperature